Carcinoma cervix with involvement of upper 2/3rd of vagina is stage................:
1. II A
2. II B
3. III A
4. III B

Correct answer: 1. II A

Explanation: II A